Hemoglobin electrophoresis is based on
1. molecular weight
2. charge
3. solubility
4. calorimetric properties

Correct answer: 2. charge

Explanation: Ans. is 'b' i.e. charge Each of the major hemoglobin types has an electrical charge of a different degree, so the most useful method for separating and measuring normal and abnormal hemoglobins is electrophoresis. This process involves subjecting hemoglobin components from dissolved red blood cells to an electric field. The components then move away from each other at different rates, and when separated form a series of distinctly pigmented bands. The bands are then compared with those of a normal sample. Each band can be further assessed as a percentage of the total hemoglobin, thus indicating the severity of any abnormality.